In a UK study, it was found that there were more deaths from asthma than the sale of anti-asthma drugs. This is an example of:
1. Cohort study.
2. Case reference study.
3. Ecological study.
4. Experimental study.

Correct answer: 3. Ecological study.